Which of the following are not included under 10 chemicals of major public health concern by WHO:
1. Arsenic
2. Asbestos
3. Dioxin
4. Radium

Correct answer: 4. Radium

Explanation: Many chemicals can, when properly used, significantly contribute to the improvement of our quality of life, health and well-being. But other chemicals are highly hazardous and can negatively affect our health and environment when improperly managed.10 chemicals or groups of chemicals of major public health concern are: Air pollution Arsenic Asbestos Benzene Cadmium Dioxin and dioxin-like substances Inadequate or excess fluoride Lead Mercury Highly hazardous pesticides Ref :